Dietary Reference Intake recommendations include all except -
1. Recommended Dietary Allowances
2. Adequate Intake
3. Upper tolerable level
4. Food based dietary advice

Correct answer: 4. Food based dietary advice

Explanation: Ans. is d i.e. Food based dietary advice o The Dietary Reference Intake (or DR I) is a system of nutrition recommendations from the Institute of Medicine (IOM) of the US National Academy of Sciences. In the past, Recommended Dietary Allowances (RDAs) were the benchmark measures used for assessing nutrient intake. However, with advances in the scientific knowledge regarding the roles of nutrients in human health, the Institute of Medicine (IOM) developed a new set of dietary reference standards--Dietary Reference Intakes (DRIs)-- to replace and expand the RDAs. o Its applications include: o Composition of diets for schools, prisons, hospitals or nursing homes. o Industries developing new food stuffs. o Healthcare policy makers and public health officials. o The current Dietary Reference Intake recommendation is composed of: o Estimated Average Requirements (EAR), expected to satisfy the needs of 50% of the people in that age group. Recommended Dietary Allowances (RDA), the daily dietary intake level of a nutrient considered sufficient to meet the requirements of nearly all (97-98%) healthy individuals in each life-stage and gender group. o Adequate Intake ( AI), where no RDA has been established, but the amount established is somewhat less firmly believed to be adequate for everyone in the demographic group. o Tolerable upper intake levels (UL), to caution against excessive intake of nutrients (like vitamin D) that can he harmful in large amounts.